True negative means-
1. Sensitivity
2. Specificity
3. Positive predictive value
4. Negative predective value

Correct answer: 2. Specificity

Explanation: Ref:Parks 23rd edition pg 136 specificity is defined as the ability of a test to identify those who do not have the disease. That is true negatives.